Landolt's broken ring test is used for testing:
1. Form sense
2. Contrast sense
3. Central field
4. Scotopic vision

Correct answer: 1. Form sense

Explanation: Ans. Form sense